Chaperones are:
1. Purine metabolism mediators
2. Antigen presenting cells
3. Mediators of post-transitional assembly of protein complexes
4. None of the above

Correct answer: 3. Mediators of post-transitional assembly of protein complexes

Explanation: CHAPERONES-FOLDING /SHAPE /ASSEMBLY OF PROTEIN POST-TRANSITIONAL CHANGE They facilitate and favour the interactions on the polypeptide surfaces to finally give the specific conformation of a protein. Type 1. Hsp70 system- This mainly consists of Hsp70 (70-kDa heat shock protein) and Hsp40 (40-kDa Hsp). These proteins can bind individually to the substrate (protein) and help in the correct formation of protein folding 2. Chaperonin system: This is a large oligomeric assembly which forms a structure into which the folded proteins are inserted. The chaperonin system mainly has Hsp60 and Hspl0.